DOC of acute exacerbation of ulcerative colitis?
1. Sulfasalzine
2. Steroids
3. Infliximab
4. Cyclosporine

Correct answer: 2. Steroids

Explanation: Initial management of ulcerative colitisis is with steroid enema, while many patients will require a short course of intravenous corticosteroids like methyl-prednisolone. In patients with steroid-refractory colitis, the choice is between rescue medical therapy with cyclosporine or infliximab, or surgery.